In the second stage of anaesthesia the pupil is –
1. Constricted
2. Partially dilated
3. Normal in size
4. Totally dilated

Correct answer: 2. Partially dilated

Explanation: Stage 1 → Pupil size normal
Stage 2 → Partially dilated
Stage 3 → Plane 1 → normal size, Plane 2 → 1/2 dilated, Plane 3 → 3/4 dilated, Plane 4 → fully dilated.
Stage 4 → Fully dilated & fixed